Von-Meyenburg's complexes are seen in -
1. Brain
2. Liver
3. Kidney
4. Spleen

Correct answer: 2. Liver

Explanation: Von Meyenburg Complexes

Close to or within the portal tract, these are small clusters of modestly dilated bile ducts embedded in a fibrous, sometimes hyalinised stroma.
Although these "bile duct microhamartomas" may communicate with the biliary tree, they generally are free of the pigmented material tree.
They presumably arise from residual embryonic bile duct remnants. Occasionally, a triangular bile duct hamartoma may lie just under Glisson's capsule.

Polycystic liver disease

There are multiple diffuse cystic lesions in the liver.

Congenital hepatic fibrosis

Portal tracts are enlarged by irregular, broad bands of collagenous tissue, forming septa that divide the liver into irregular islands.
Variable numbers of abnormally shaped bile ducts are embedded in the fibrous tissue and are in continuity with the biliary tree.

Caroli disease

The larger ducts of the intrahepatic biliary tree are segmentally dilated and contain inspissated bile.